Pathognomic lesion of scabies is?
1. Papules
2. Vesicle
3. Burrow
4. Pits

Correct answer: 3. Burrow

Explanation: Ans. (c) BurrowRef : Rook's 8/e, p 38.36.39